In hypogonadotropic hypogonadism?
1. Both LH and FSH decreased
2. Both LH and FSH increased
3. LH increased and FSH decreased
4. LH decreased and FSH increased

Correct answer: 1. Both LH and FSH decreased

Explanation: - LH and FSH are decreased in hypogonadotropic hypogonadism. Hypogonadotropic hypogonadism: - Reversible - if its d/t to Chronic systemic illness (CKD, Chronic liver Disease) Severe malnutrition Endocrine causes (hypothyroidism, type 1 DM) - Permanent if its d/t Isolated delayed puberty - Genetic mutations - KAL 1 (Kallmann Syndrome), GnRH Receptor, DAX -1 gene - Syndromes- Prader Willi Syndrome, Laurence Moon Syndrome MPHD (multiple pituitary hormone disease) - Injury - Infiltration by tumors- Langerhan cell histiocytosis - Genetic - PROP1,LH - Malformations - Trauma